Preplacement examination in dye industry includes all of the following except –
1. Anemia
2. Asthma
3. Precancerous lession
4. Dermatitis

Correct answer: 1. Anemia

Explanation: The following is a list of some occupations in which it is risky to employ men suffering from certain diseases found on pre-placement examination -